Millard Gubler syndrome includes the following, except:
1. 5th nerve palsy
2. 6th nerve palsy
3. 7th nerve palsy
4. Contralateral hemiparesis

Correct answer: 1. 5th nerve palsy

Explanation: Millard Gubler syndrome is not associated with 5th nerve palsy. Lateral rectus weakness (6th nerve involvement), ipsilateral facial palsy (7th nerve involvement) and contralateral hemiparesis (corticospinal tract involvement) are features of Millard Gubler syndrome. Ref: Harrison's Principles of Internal Medicine, 16th Edition, Page 175; Anatomic Basis of Neurologic Diagnosis, Cary D. Alberstone, Chapter 7, Page 272.